Hypoglycemia may occur in a patient taking insulin and undergoing extraction when
1. Extraction is done on empty stomach
2. Patient had an infection
3. Patient had no exercise in the morning
4. Patient consumed breakfast before extraction

Correct answer: 1. Extraction is done on empty stomach